False about Influenza is
1. H5N1 is cause of Avian influenza
2. Type A pandemics every 2-3 years
3. Incubation period is 18-72 hours
4. All the above

Correct answer: 2. Type A pandemics every 2-3 years

Explanation: Type A pandemics every 10-15 years.